A 25 year old male presents with red, swollen testis. Upon examination testis is felt separate from epididymis because of marked swelling in epididymis. Diagnosis:
1. Testicular torsion
2. Fourniers gangrene
3. Epididymo orchitis
4. Testicular Cancer

Correct answer: 3. Epididymo orchitis

Explanation: Ans. (c) Epididymo orchitisRef: Bailey & Love 26th ed./1384ACUTE EPtDIDYMO ORCHITIS* Inflammation of the epididymis and testis, from an ascending infection from the lower urinary tract.* Initially epididymis is involved, after that there is involvement of testis.* Most cases of epididymitis in men younger than 35 years are due to sexually transmitted organisms * In children and older men this is due to urinary pathogens such as E. coli.* Patient presents with fever, swollen, red and tender scrotum.* The epididymis and testis are swollen (Thickened cord with reactive hydrocoele).* Urine analysis typically demonstrates WBCs and bacteria in the urine or urethral discharge* Scrotal USG showing enlarged epididymis with increased blood flow with reactive hydrocoele.Also know* Testicular torsion is commonly seen in pre- pubertal age group (10-25 years). Patients usually presents with sudden agonizing pain.